The causative agent of plague-
1. Yersinia pestis
2. Yersinia enterocolitica
3. Yersinia pseudotuberculosis
4. Pasteurella septica

Correct answer: 1. Yersinia pestis

Explanation: Infection caused by Yersinia genus is divided into

i. Plague - It is a deadly infectious disease caused by Yersinia pestis.
ii. Vers in os it is characterized by infectious diarrhea, enteritis, ileitis and occasionally sep
It is caused by Yersinia enterocolitis (most common) and Yersinia pseudotuberculosis